The action of Adrenergic a2 receptors and b1 receptors on adenyl cyclase?
1. Stimulate; Stimulate
2. Stimulate; Inhibit
3. Inhibit; Inhibit
4. Inhibit; Stimulate

Correct answer: 4. Inhibit; Stimulate

Explanation: Most of the receptors are G protein-coupled receptors .Among G protein-coupled receptors, Inhibitory receptors are Alpha 2, M2 etcStimulatory receptors are all beta receptors (beta 1, beta2 and beta 3) Ref: H.L Sharma 3rd ed. Pg: 64